Earliest detected fetal anomaly by USG:
1. Spinal anomaly
2. Craniofacial anomaly
3. Cardiac anomaly
4. Limb anomaly

Correct answer: 2. Craniofacial anomaly

Explanation: Ans b Ref: Sheila Balakrishnan page 5812nd trimester scan done forA, Nuchal translucencyB, Structural anomaliesEarliest anomaly to be picked up is anencephaly at 10 wks.Some skeletal anomalies- limb reduction defects gross abdominal wall defects- encephalocele, cystic hygroma can also be picked up